In leprosy neural involvement occurs in what percentage of patients
1. 30%
2. 60%
3. 90%
4. 100%

Correct answer: 4. 100%

Explanation: A chronic granulomatous disease caused by Mycobacterium leprae, principally affecting peripheral nerves and skin. Nerve involvement is seen in all cases of leprosy. The cardinal signs are: 1. Hypopigmented/hypoanaesthetic patches 2. Peripheral nerve thickening 3. Skin slit smear(AFB).